Axillary artery is divided into 3 parts by
1. Pectoralis major
2. Clavicle
3. Pectoralis minor
4. Teres minor

Correct answer: 3. Pectoralis minor

Explanation: Axillary artery is divided into 3 parts by Pectoralis minor The 3 parts are Superior thoracic artery Thoracoacromial trunk Subscapular artery Ref : BD Chaurasia Human Anatomy 5e vol 2 pg 55.